Which of the following timelines would be included in the perinatal period?
1. 37th week of gestation to 28 days after birth
2. 19th week of gestation to 7 days after birth
3. 32nd week of gestation to 28 days after birth
4. 22nd week of gestation to 7 days after birth

Correct answer: 4. 22nd week of gestation to 7 days after birth

Explanation: These are diverse definitions for perinatal period, but the WHO states that the perinatal period commences at 22 completed weeks and ends seven completed days after birth. The neonatal period is defined as the first 28 days after birth. Infancy is defined as the first year of life. This should not be confused the period used for calculation of perinatal mortality rate. The actual perinatal period is defined as the period from the 22nd week of life to 7 days after birth, when the fetus weighs about 500g However, the calculation of perinatal mortality rate primarily considers fetal weight above 1000g, which if acheived at 28 weeks of gestation. Therefore, for all statistical purposes, international comparisions and calculations of perinatal mortality rate, the period from the 28th week of life is considered. Hence, Perinatal Period: From the 22nd week Perinatal mortality rate calculation: From the 28th week Ref: World Health Organisation